In a tooth supported partial denture, movement of the base
towards the edentulous ridge is prevented primarily by
1. Clasps on abutment teeth
2. Rests on abutment teeth
3. Indirect retainer on abutment teeth
4. Minor connector on abutment teeth

Correct answer: 2. Rests on abutment teeth